The nerve of kuntz is an important landmark in:
1. Lumbar sympathectomy
2. Cervicodorsal sympathectomy
3. Obturator neurectomy
4. Splanchnicectomy

Correct answer: 2. Cervicodorsal sympathectomy

Explanation: Nerve of Kuntz Nerve of Kuntz: Thoracic origin of a sympathetic supply to the upper limbs An inconstant intrathoracic ramus which joined the 2nd intercostal nerve to the ventral ramus of the 1st thoracic nerve, proximal to the point where the latter gave a large branch to the brachial plexus, has become known as the 'nerve of kuntz' These variants sympathetic pathways may be responsible for the recurrence of symptoms after sympathectomy surgery Ref: